A 8 month old child is suffering from diarrhea.
What is the dose of zinc to be given
1. 20 mg / day for 7 days
2. 10 mg / day for  14 days
3. 10 mg / day for 7 days
4. 20 mg / day for 14 days

Correct answer: 4. 20 mg / day for 14 days

Explanation: Age group
Dose of zinc


2 - 6 months
10 mg / day for 10 - 14 days


> 6 months
20 mg / day for 10 - 14 days